For DNA testing, which tissue sample is taken in an autopsy
1. Liver
2. Spleen
3. Kidney
4. Brain

Correct answer: 2. Spleen

Explanation: B i.e. Spleen DNA can be extracted from any body fluid or tissue in which nucleated cells are present. The samples for DNA testing in forensic practice are usually taken from 1) Blood stains, 2) Semen, 3) Hair, 4) tissues such as bone marrow, spleen, muscle, finger nail scrapingsQ, 5) Mouth swabs, 6) Saliva stains, and 7) Chorionic villus and muscle samples in foetus. Deep muscles, cardiac muscle, bones (preferably long bones with more bone marrow) &, teeth (preferably molar) are resistant samples and can be used in burnt & decomposed bodies. Blood and spleen are easily obtainable samples.